Leisegang rings are found in:
1. Calcifying epithelial odontogenic cyst
2. Primordial cyst
3. Calcifying epithelial odontogenic tumor
4. Odontoma

Correct answer: 3. Calcifying epithelial odontogenic tumor

Explanation: Characteristic feature of the Calcifying epithelial odontogenic tumor (Pindborg tumour) is the presence of calcification, sometimes in large amounts and often in the form of Liesegang rings.
This calcification actually appears to occur in some instances in globules of the amyloid-like material, many of which have coalesced and are transformed from being PAS (periodic acid-Schiff)-negative to PAS-positive during this calcification process. There does not appear to be necessarily a relationship between the amount of amyloid material formed in a given lesion and the amount of calcification occurring.